Flame cells are seen in:
1. Protozoa
2. Cestode
3. Nematodes
4. None

Correct answer: 2. Cestode

Explanation: Ans. b. Cestode